A 60–year–old male Suresh is hospitalized with muscle pain, fatigue, and dark urine. His past medical history is significant for stable angina. The patient's medications include atenolol, atorvastatin, and aspirin. His urine dipstick test is positive for blood but urine microscopy did not reveal RBCs in the urine. Serum creatinine kinase was significantly raised in this person. The addition of which of the following medications is most likely to have precipitated this patient's condition?
1. Erythromycin
2. Rifampin
3. Griseofulvin
4. Azithromycin

Correct answer: 1. Erythromycin